The defect in matrix formation during formation of enamel leads to
1. Gnarled enamel
2. Enamel tufts
3. Enamel hypoplasia
4. Mamelons

Correct answer: 3. Enamel hypoplasia